Dracunculosis infection occurs through -
1. Ingestion of water containing cyclops
2. Ingestion of water containing the parasite
3. Ingestion of fish
4. Penetration of skin

Correct answer: 1. Ingestion of water containing cyclops

Explanation: Humans are the definitive host and cyclops are the intermediate host.The adult female worm discharges larvae which are ingested by the intermediate host the cyclops.Humans become infected by drinking unfiltered water containing infective cyclops (refer pgno:175 baveja 3 rd edition)